Nightmares are commonly associated with which of the following antiretroviral drugs?
1. Indinavir
2. Zidovudine
3. Tenofovir
4. Efavirenz

Correct answer: 4. Efavirenz

Explanation: Efavirenz can be given once daily because of its long half-life (40-55 hours).The principal adverse effects of efavirenz involve the central nervous system. Dizziness, drowsiness, insomnia, nightmares, and headache tend to diminish with continued therapy; dosing at bedtime may also be helpful.Others: rash, | liver enzymes, headache, nausea; Psychiatric symptoms such as depression, mania, and psychosis have been observed. Ref: Katzung; 12th edition; Page no: 877